Total number of base pairs in human haploid set of chromosome
1. 3 million
2. 3 billion
3. 33 billion
4. 5 million

Correct answer: 2. 3 billion

Explanation: Humanhaploid genome of each cell consist of (3*109 ) bp (3 billion bp)Current estimates predict 20,687 protein coding genes Exome constitutes 7.74% of genomeSNPs estimated is 10 million.